An anaesthetic agent with boiling temperature more than 75degC is:
1. Ether
2. Halothane
3. Cyclopropane
4. Methoxyflurane

Correct answer: 4. Methoxyflurane

Explanation: Answer is option4, methoxyflurane Boiling Point 105 deg C Methoxyflurane, marketed as Penthroxamong others, is an inhaled medication primarily used to reduce pain following trauma. It may also be used for short episodes of pain as a result of medical procedures.Onset of pain relief is rapid and of a short duration. Use is only recommended with direct medical supervision. O'Neil, M.J. (ed.). The Merck Index - An Encyclopedia of Chemicals, Drugs, and Biologicals. 13th Edition, Whitehouse Station, NJ: Merck and Co., Inc., 2001., p. 1073